Louse transmits ?
1. Epidemic typhus
2. Endemic typhus
3. Murine typhus
4. Rickettsial pox

Correct answer: 1. Epidemic typhus

Explanation: Ans. is 'a' i.e., Epidemic typhus